Biondi Ring Tangles (BRTs) are found in -
1. Choroidal plexus cells
2. Golgi type II cells
3. Basket cells
4. Pia mater

Correct answer: 1. Choroidal plexus cells

Explanation: BRT are intracellular inclusion bodies found in choroidal epithelial cells of choroid plexus. It consists of a lipid droplet surrounded by a ring shaped bundle of filaments.